As per latest NRP guidelines, Target saturation (preductal) after birth at 5 minutes is -
1. 65% - 70%
2. 75% - 85%
3. 85% - 95%
4. 80% - 85%

Correct answer: 4. 80% - 85%

Explanation: Targeted preductal Spo2 after birth - 1 min 60-65% 2 min 65-70% 3 min 70-75% 4 min 75-80% 5 min 80-85% 10 min 85-95%